If a patient survives after having given dying declaration, then it stands as:
1. No value
2. Valid for 48 h
3. Corroborative evidence
4. None

Correct answer: 3. Corroborative evidence

Explanation: Ans. Corroborative evidence